Polyopia/diplopia is seen in which type of cataract?
1. Nuclear
2. Cortical
3. Posterior subcapsular
4. Anterior polar

Correct answer: 2. Cortical

Explanation: Ans. is 'b' i.e., Cortical